Acanthosis nigricans is seen in:
1. GIT cancer
2. Hypothyroidism
3. Diabetes
4. All of the above

Correct answer: 4. All of the above

Explanation: Ans. d. All of the aboveMost common association of acanthosis nigricans is obesity